All of the following act through GABA except ?
1. Phenobarbitone
2. Carbamazepene
3. Zopiclone
4. Muscimol

Correct answer: 2. Carbamazepene

Explanation: Ans. is 'b' i.e., Carbamazepene